A well differentiated thyroid follicular carcinoma is best differentiated from a follicular adenoma by:
1. Presence of Hurthle cell
2. Vascular invasion
3. Nuclear features
4. Lining of tall columnar and cuboidal cells

Correct answer: 2. Vascular invasion

Explanation: Follicular adenoma can be differentiated from follicular carcinoma on the basis of invasion of capsule or pericapsular blood vessel. Follicular adenoma do not invade capsule or peri capsular blood vessel. Ref: Bailey and Love Short Practice of Surgery 24th Edition, Page 797, 799; Schwartz 8th Edition, Page 420; Robbins 7th Edition, Page 1180, 1181